Most common intracranial tumour encroaching the orbit is
1. Astrocytoma
2. Glioblastoma multiforme
3. Sphenoid wing meningioma
4. Medulloblastoma

Correct answer: 3. Sphenoid wing meningioma

Explanation: The intracranial meningiomas which secondarily invade the orbit are arising from the sphenoid bone. Orbital invasion may occur through: floor of anterior cranial fossa, superior orbital fissure and optic canal. Ref khurana page no.423